Burden of disease is given by ?
1. Incidence
2. Crude death rate
3. Cause specific death rate
4. Proportional mortality rate

Correct answer: 4. Proportional mortality rate

Explanation: Ans. is 'd' i.e., Proportional mortality rate